Rheobase indicates:
1. Magnitude of current
2. Rate of discharge
3. Velocity of nerve conduction
4. Specificity of impulse transmission

Correct answer: 1. Magnitude of current

Explanation: Rheobase: The minimum strength or magnitude of a stimulus, which is able to produce AP in an excitable tissue (e.g. Nerve,muscle) regardless of the duration it takes.